Trauma left hemothorax with no mediastinal shift, treatment of Choice
1. Conservative
2. ICD
3. Intubation
4. None

Correct answer: 2. ICD

Explanation: Ans. (b) ICDRef: Bailey 26th 355 * Treatment of left hemothorax with no mediastinal shift consist of correcting the hypovolaemic shock insertion of intercostal drain.